The most common presentation of radiation carditis is:
1. Pericardial effusion
2. Atheromatous plaques
3. Myocardial fibrosis
4. Pyogenic pericarditis

Correct answer: 1. Pericardial effusion

Explanation: Ans. Pericardial effusion